3 - tier Panchayati Raj system was proposed by
1. Kartar sings committee
2. Srivartava sings committee
3. Balwant Rai mehta committee
4. Mudaliar committee

Correct answer: 3. Balwant Rai mehta committee